Basophils are decreased in-
1. Polycythemia
2. Basophilic leukemia
3. Cushing's syndrome
4. CML

Correct answer: 3. Cushing's syndrome

Explanation: Basophilia refers to an increase in the number of basophilic leukocytes It is seen in following conditions like chronic myeloid leukaemia polycythemia vera Myelo sclerosis leukaemia myxoedema ulcerative colitis following splenectomy hodgkin's disease utricaria pigmentosa Reference textbook of Pathology 7th edition author Harsha Mohan page number 329